Mutation seen in Marfan syndrome:
1. Fibrillin-1 gene
2. FGFR-3 gene
3. COL1A1
4. Fibrillin-2

Correct answer: 1. Fibrillin-1 gene

Explanation: Marfan Syndrome: Fibrillin 1 gene defect FGFR3- is seen in achondroplasia COL1A1- osteogenesis imperfecta Fibrillin2- Congenital contractural arachnodactyly (CCA) -phenotypically similar to Marfan syndrome